Vital statistics in a population include
1. Sex ratio
2. Age composition
3. Birth rate
4. Dependency rate

Correct answer: 3. Birth rate

Explanation: Population Statistics Vital Statistics Population size Birth rate, Death rate Sex ratio Natural growth rate Density of population Life expectancy at birth Depedency ratio Mortality rates Fertility rates Ref: Park 25th edition Pgno: 532